Dicumarol is a drug that impairs the utilization of vitamin K by the liver. Dicumarol therapy would decrease the plasma concentration of which of the following procoagulants
1. Prothrombin
2. Fibrinogen
3. Factor VIII
4. Factor V

Correct answer: 1. Prothrombin

Explanation: Factor II is also called as Prothrombin, it is a vitamin K dependent clotting factor. Warfarin acts by inhibiting Vitamin K Epoxide Reductase Complex(VKORC) subunit 1 Ref: Ganong 25th ed/page 567